Radiographic examination of a woman with foot pain reveals Morton's neuroma. What is the most typical location of this neuroma?,
1. Between the third and fourth metatarsophalangeal joints
2. Between the second and third metatarsophalangeal joints
3. Between the first and second metatarsophalangeal joints
4. Between the fourth and fifth metatarsophalangeal joints

Correct answer: 1. Between the third and fourth metatarsophalangeal joints

Explanation: Morton's neuroma most commonly involves compression (and possible enlargement) of an anastomosing branch that connects the medial and lateral plantar nerves between the third and fourth toes. The pain can be severe. The medial plantar nerve provides sensation for the medial three and a half toes; the lateral plantar nerve supplies the little toe and half of the fourth toe. The neural interconnection can be compressed between the transverse metatarsal ligament and the floor. Women are 10 times more likely than men to be afflicted with this problem, most likely due to wearing shoes that put excessive stress on the forefoot. In about 80% of cases the pain can be eased with different shoes or cortisone injections. fig:-Morton's neuroma